ATT causing orange colour urine is -
1. Rifampicin
2. Isoniazid
3. Ethambutol
4. Pyrazinamide

Correct answer: 1. Rifampicin

Explanation: Ans. is 'a' i.e., Rifampicin Adverse effects of Rifampicin o Intermittent dosing in Rif. ampicin i.e., (Less than twice weekly either as a part of regimen or through poor compliance) promotes certain effects which are Flu like syndrome (chills, fever headache, malaise wheezing) Thrombocytopenia Acute hemolytic anaemia Abdominal syndrome Acute renal failure sometimes with hemolysis Cutaneous syndrome These adverse reactions usually does not require drug withdrawl. o Other adverse effects of Rifampicin which are dose related Hepatitis Respiratory syndrome Urine and secretions may become orange red but this is harmless.